Which is false about Gilbert syndrome
1. Male predominant
2. UGT activity is 10-30 % of normal
3. Histology normal
4. Mild conjugated hyperbilrubinemia

Correct answer: 4. Mild conjugated hyperbilrubinemia

Explanation: Gilbert Syndrome is characterized by mild unconjugated hyperbilirubinemia, normal values for standard hepatic biochemical tests, and normal hepatic histology other than a modest increase of lipofuscin pigment in some patients. Serum bilirubin concentrations are most often <51 mmol/L (<3 mg/dL),UGT (UDP-glucuronosyltransferase 1) activity is typically reduced to 10-35% of normal, and bile pigments exhibit a characteristic increase in bilirubin monoglucuronides.Harrison 19e pg:2002